"Whiff" Test is done for:
1. Bacterial vaginosis
2. Trichomonas
3. Candida
4. Gonorrhoea

Correct answer: 1. Bacterial vaginosis

Explanation: Bacterial vaginosis